Hyperpolarization is due to
1. Influx of chlorine
2. Influx of potassium
3. Influx of sodium
4. All

Correct answer: 1. Influx of chlorine

Explanation: In hyperpolarization the membrane becomes more negative It is due to continued potassium efflux or chloride ion influx. Ref:Guyton and Hall textbook of medical physiology 12th edition,page number:67,68,69